Episodic generalized weakness can occur due to all of the following acute electrolyte disturbances,except -
1. Hypokalemia
2. Hypocalcemia
3. Hyponatremia
4. Hypophosphatemia

Correct answer: 2. Hypocalcemia